Which of the following is derived from 3rd pharyngeal arch?
1. Cricoid cartilage
2. Thyroid cartilage
3. Lesser cornu of hyoid
4. Greater cornu of hyoid

Correct answer: 4. Greater cornu of hyoid

Explanation: Lesser cornu of hyoid- 2nd Thyroid cartilage- 4th arch Cricoid- 6th arch